Acantholysis is characteristic of –
1. Pemphigus vulgaris
2. Pemphigoid
3. Erythema multoforme
4. Dermatitis herpetifonnis

Correct answer: 1. Pemphigus vulgaris

Explanation: Histologically the common denominator in all forms of pemphigus is acantholysis.